If circumflex artery gives the posterior interventricular branch, this circulation is described as ?
1. Right dominance
2. Left dominance
3. Codominance
4. Undetermined

Correct answer: 2. Left dominance

Explanation: Dominance of the coronary arterial system depends on which artery gives rise to the posterior interventricular branch (posterior descending artery). This branch supplies adjacent areas of both ventricles and posterior third of the IV septum.Right dominance: In this more conzmon type the posterior interventricular artery is a brute of . coronary artery. Left dominance: The circumflex artery, the continuation of left coronary provides the post. IV branchCodominance/balanced: Branches of both right and left coronary artery run in or near the sulcus.